Which of the following is considered an adequate water supply/head/day –
1. 50–150 L
2. 150–200 L
3. 200–250 L
4. 100–150 L

Correct answer: 2. 150–200 L